6 month old baby presents with history of bloody diarrhoea of 2 days duration with abdominal distension and on examination baby screams. What is the most probable diagnosis?
1. Intussusception
2. Acute enterocolitis
3. Meckel's diverticulum
4. Hemolytic Uraemic syndrome

Correct answer: 1. Intussusception

Explanation: Intussusception

Short history of bloody diarrhoea.
Extreme tenderness on examination.